Harpender's Callipers are used to;
1. Measure skin fold thickness
2. Measure mid arm circumference
3. Measure height
4. Measure chest circumference

Correct answer: 1. Measure skin fold thickness

Explanation: Ans. A. Measure Skin fold thicknessSkin fold thickness is an indication of the subcutaneous fat. Triceps skin fold thickness is the most representative of the total subcutaneous fat upto 16 years of age. It is usually above 10mm in normal children whereas in severely malnourished children it may fall below 6mm.